The most important prognostic factor of Wilms tumor-
1. Histopathology
2. Ploidy of cells
3. Age < 1 y
4. Mutation of c 1p gene

Correct answer: 1. Histopathology

Explanation: Robbins basic pathology 10th edition page no 290. Wilms tumor or nephroblastoma is the most common primary tumor of the kidney in children. On microscopic examination, Wilms tumors are characterized by recognizable attempts to recapitulate different stages of nephrogenesis. The pattern of anaplastic cells within the primary tumor has important implications for prognosis.